All are new markers for Acute Kidney Injury (AKI) except:
1. Plasma IL 18
2. Urinary IL 18
3. Plasma NGAL
4. Urinary NGAL

Correct answer: 1. Plasma IL 18

Explanation: Marker of AKI: Urinary 1) KIM- 1 - Kidney injury molecule-1 Plasma & Urinary 2) NGAL - Neutrophil gratinate associated lipocalin Urinary 3) IL - 18 | Tissue protected effected in proximal tubule